Which of the following laryngeal muscle act as adductor of vocal cords?
1. Lateral cricoarytenoid
2. Posterior cricoarytenoid
3. Anterior, cricoarytenoid
4. Cricothyroid

Correct answer: 1. Lateral cricoarytenoid

Explanation: Lateral cricoarytenoid muscle arises from the superior border of the lateral cricoid cartilage and its fibers insert into the anterior surface of the muscular process of the arytenoid cartilage. Contraction of this muscle causes muscular process to be pulled anteriorly and the arytenoid to rotate with the vocal process turning medially causing adduction of the vocal cord. Intrinsic muscles of vocal cord: Muscles modifying the laryngeal inlet are: Oblique arytenoid muscle: narrows the inlet Thyroepiglottic muscle: widens the inlet Muscle moving the vocal cords are: Tensors of vocal cords: Cricothyroid muscle Relaxors of vocal cords: Thyroarytenoid muscle Adductors of vocal cords: Lateral cricoarytenoid muscle Abductors of vocal cords: Posterior cricoarytenoid muscle Muscle approximating arytenoid cartilages: Transverse arytenoid muscle